Chances of an offspring being affected when one parent is autosomal dominant heterozygote?
1. 25%
2. 50%
3. 100%
4. None

Correct answer: 2. 50%

Explanation: Transmission patterns of single-gene disorders Disorders of autosomal dominant inheritance are manifested in the heterozygous state. When an affected person marries an unaffected person, every child has one chance in two of having the disease. So the option is 50%.Robbins basic pathology; 9th edition; page no 219